Osteoporosis in menopause typically affects
1. Compact bone
2. Trabecular bone
3. Metaphysis
4. Periosteum

Correct answer: 2. Trabecular bone

Explanation: Osteoporosis in menopause typically affects tracbecular bone.